5 years old female presents with palpable purpura over the buttocks, arthralgias, abdominal pain with diarrhea with passage of blood per rectum. Patient also has presence of proteinuria. What is the most probable diagnosis -
1. Henoch-Schonlein purpura
2. Nephrotic syndrome
3. Nephritic syndrome
4. Thalassemia

Correct answer: 1. Henoch-Schonlein purpura

Explanation: Ans. is 'a' i.e., Henoch-Schonlein purpura Henoch-Schonlein purpura* Henoch-Schonlein purpura, also referred to as anaphylactoid purpura, is a small-vessel vasculitis characterized by palpable purpura (most commonly distributed over the buttocks and lower extremities), arthralgias, gastrointestinal signs and symptoms, and glomerulonephritis.Clinical features* It is seen pediatric patients having palpable purpura.* Most patients develop polyarthralgias in the absence of frank arthritis.* Gastrointestinal involvement is seen in almost 70% of pediatric patients. It is characterized by colicky abdominal pain usually associated with nausea, vomiting, diarrhea, or constipation and is frequently accompanied by the passage of blood and mucus per rectum; bowel intussusception may occur.* Renal involvement occurs in 10-50% of patients and is usually characterized by mild glomerulonephritis leading to proteinuria and microscopic hematuria, with red blood cell casts in the majority of patients; it usually resolves spontaneously without therapy. Rarely, a progressive glomerulonephritis will develop.